Shortest acting mydriatic is ?
1. Atropine
2. Homatropine
3. Tropicamide
4. Cyclopentolate

Correct answer: 3. Tropicamide

Explanation: Ans. is 'c' i.e., Tropicamide